NAD+ Acts as a coenzyme for ?
1. Xanthine oxidase
2. L-amino acid oxidase
3. Succinate dehydrogenase
4. Malate dehydrogenase

Correct answer: 4. Malate dehydrogenase

Explanation: Malate dehydrogenase NAIr -linked dehydrogenases Pyruvate dehydrogenase, isocitrate dehydrogenase, malate dehydrogenase, a-ketoglutarate dehydrogenase, glutamate dehydrogenase, glyceraldehyde-3-P dehydrogenase, lactate dehydrogenase, 13-hydroxy acyl CoA dehydrogenase, glycerol 3-P dehydrogenase (cytoplasmic).NADP*-linked dehydrogenases Glucose-6-P dehydrogenase, 6-Phosphogluconate dehydrogenase, 3-ketoacyl reductase, Enoyl reductase, gulonate dehydrogenase.FAD-linked dehydrogenases Succinate dehydrogenase, fatty acyl CoA dehydrogenase, glycerol-3P dehydrogenase (mitochondrial).